Cigarette smoking increases the risk of all the following diseases except
1. Pancreatic carcinoma
2. Cerebrovascular accident
3. Sudden infant death syndrome
4. Primary pulmonary hypertention

Correct answer: 4. Primary pulmonary hypertention

Explanation: Answer- D. Primary pulmonary hypertention Coronayhea diseaseCerbrovascularlesionsAoic aneurysmChronic airway obstructionSudden infant death syndromeInfant respiratory distress syndromeCancer of Pancreas, Lung, Kidney.